Which is not seen in complete ectopic vesicae:
1. Umbilical hernia
2. Visible ureterovesical efflux
3. Hypospadias
4. Waddling gate

Correct answer: 3. Hypospadias

Explanation: Epispadias is present, not the hypospadias in Ectopia vesicae. Umbilical hernia, Visible ureterovesical efflux and Waddling gate are seen in Ectopia vesicae. Clinical Features Posterior wall of the bladder protrudes through the defect with mucosal edges fused with skin and urine spurts onto the abdominal wall from the ureteral orifices. Rectus muscles which are Inserted on the public rami are also widely separated An umbilical hernia though usually small Is present along with extrophlc bladder. In males, complete epispadias with a wide & shallow scrotum. Undescended testis & Inguinal hernias are common. Females also have epispadias with bifid clitoris and wide separation of the labia. Anus is dislocated anteriorly in both sexes and there may be rectal prolapse. Ectopia vesicae increases the risk of Adenocarcinoma of bladder.